A patient of Acute lymphocytic leukemia with fever and neutropenia develops diarrhoea after administration of amoxicillin therapy, which of the following organism is most likely to be the causativeagent -
1. Salmonella typhi
2. Clostridium difficile
3. Clostridium perfringens
4. Shigella flexneri

Correct answer: 2. Clostridium difficile

Explanation: Ans. is 'b' i.e., Clostridium difficile